Most common type of hypospadias is ?
1. Glandular
2. Penile
3. Scrotal
4. Perineal

Correct answer: 1. Glandular

Explanation: Hypospadias is classified according to the position of the meatus into: * Glanular hypospadias. This is most common type and does not usually require treatment. The normal site of the external meatus is marked by a blind pit, although it occasionally connects by a channel to the ectopic opening on the underside of the glans.. * Coronal hypospadias. The meatus is placed at the junction of the underside of the glans and the body of the penis. * Penile and penoscrotal hypospadias. The opening is on the underside of the penile shaft. * Perineal hypospadias. This is the most severe abnormality. The scrotum is bifid and the urethra opens between its two halves. There may be testicular maldescent, which may make it difficult to determine the sex of the child.Reference : page1362-63 Bailey and Love's short practice of surgery 25th edition